True about Kartagener's syndrome is all except-
1. Dextrocardia
2. Infertility'
3. Brochieactasis
4. Intellectual disability

Correct answer: 4. Intellectual disability

Explanation: Ans. is 'd' i.e., Intellectual disability o Kartagener's syndrome is a subgroup of primary ciliary dyskinesia. Primary ciliary dyskinesia - o It is an antosomal recessive syndrome. o It is characterized by poorly functioning cilia. There is absence or shortening of Dynein arms that are responsible for the coordinated bending of cilia. o Approximately half of the patients with primary' ciliary' dyskinesia have kartagener's syndrome. Kartagener's syndrome Bronchiectasis - Poor functioning of cilia contribute to retention of secretions and recurrent infections Sinusitis - Lack of ciliary activity interferes with bacterial clearance, predisposing sinuses to infection Situs in versus - Due to ineffective cell motility during embryogenesis Infertility - Due to ineffective mobility of sperm